Diabetic cataract occurs to accumulation of -
1. Glucose
2. Fructose
3. Galactitol
4. Sorbitol

Correct answer: 4. Sorbitol

Explanation: Ans. is 'd' i.e., Sorbitolo Cataract is considered as a major cause of visual impairment in diabetic patients. Senile cataract tends to develop at an earlier age and more rapidly than usual in diabetic patients.o The enzyme aldolase reductase catalyzes the reduction of glucose to sorbitol through the polyol pathway, a process linked to the development of diabetic cataract.IS ADPH+ dependent aldolase reductase reduces excessive glucose to sorbitol and intracellular accumulation of sorbitol leads to osmotic changes resulting in hydropic lens fibers that degenerate and form sugar cataract.o The typical diabetic cataract is snowflake cataract, i.e., dense white subcapsular opacities in the anterior and posterior cortex resembling a snowstorm.